Serious infections can occur when absolute neutrophil count decreases below
1. <500/microliter
2. <800/microliter
3. <1000/microlitre
4. <2000/microliter

Correct answer: 1. <500/microliter